Middle piece of sperm contains -
1. Golgi apparatus
2. Mitochondria
3. Lysosome
4. Ribosome

Correct answer: 2. Mitochondria

Explanation: Ans. is 'b' i.e.. Mitochondria Sperm atozoon (sperm)o Sperm has following parts :i) Headii) Middle pieceiii) Principal pieceiv) End piece (tail)----5 mm5 mm50 mm5 mm}Total length 65pm o Each sperm has a head that is made up mostly of chromosomal material.o Covering the head like a cap is the acrosome, a lysosome- like organelle rich in enzymes involved in sperm penetration of the ovum and other events involved in fertilization,o The motile tail of the sperm is wrapped in its proximal portion by a sheath holding numerous mitochondria. The membranes of late spermatids and spermatozoa contain a special small form of angiotensin-converting enzyme called germinal angiotensin-converting enzyme.Note :o Golgi apparatus forms acrosomic cap.o In the middle piece the fibrous sheath is surrounded by mitochondria.